Which of the following vitamin is excreted in urine when there is increased consumption than the daily requirement?
1. Vitamin A
2. Vitamin C
3. Vitamin D
4. Vitamin K

Correct answer: 2. Vitamin C

Explanation: Almost complete absorption of vitamin C occurs if Vit A, D, E, K are fat soluble vitamins and so they are excreted mainly in bile & very minute quantities in urine. Ref: Russell R.M., Suter P.M. (2012). Chapter 74. Vitamin and Trace Mineral Deficiency and Excess. In D.L. Longo, A.S. Fauci, D.L. Kasper, S.L. Hauser, J.L. Jameson, J. Loscalzo (Eds), Harrison's Principles of Internal Medicine, 18e.